Not a predisposing factor for Ca esophagus
1. Diverticula
2. Human papilloma virus
3. Mediastinal fibrosis
4. Caustic ingestion

Correct answer: 3. Mediastinal fibrosis

Explanation: OESOPHAGEAL CARCINOMA,6 th most common carcinoma in the world, can be predisposed to dietary deficiencies, human papillomavirus infections, achalasia cardia, oesophageal webs etc.it is most commonly seen in middle third of oesophagus (50%)and also at lower third(33%) and upper third(17%).in the lower part adenocarcinoma is common .in India 90%are squamous carcinomas.dysphagia, regurgitation, anorexia, loss of weight, ascites, palpable left supraclavicular lymph nodes are the clinical features. Ref: SRB's manual of surgery,5th ed, pg no805